Most common tumor of urinary bladder is -
1. Squamous cell carcinoma
2. Adenocarcinoma
3. Transitional carcinoma
4. Stratified squamous carcinoma

Correct answer: 3. Transitional carcinoma